Index used to measure acute and chronic malnutrition can be:
1. Height with weight
2. Weight with age
3. Height with age
4. Body mass index

Correct answer: 2. Weight with age